Preplacement examination in dye industry includes all of the following except -
1. Anemia
2. Asthma
3. Precancenrous
4. Dermatitis

Correct answer: 1. Anemia

Explanation: Anemia is the preplacement examination in case of lead or in lead industries.all other are included under dye industry. (Ref.PARK'S textbook of preventive and social medicine 21st edition page no.753)